Which of the following statement (s) is are/true:
1. Langerhans cells has birbeck granules.
2. Keratinocyte release mediator which are essential for normal melanocyte formation.
3. Melanocyte are derived from the embryonic neural crest.
4. All of the Above.

Correct answer: 4. All of the Above.

Explanation: There is a correlation in the occurrence of stratum granulosum and Langerhans cells. The cell has a convoluted nucleus and characteristics rod-like granules in the cytoplasm, termed Birbeck granules. This cell is free of melanin and does not give a dopa reaction. It stains with gold chloride, ATPase, and immunofluorescent markers. The Langerhans cell is a cell of hematopoietic origin. Langerhans cells penetrate the epithelium from lamina propria.
Keratinocytes release mediators essential for normal melanocyte function. Melanocytes vary in number in different regions but variation in the degree of pigmentation (gingivae is highly pigmented), is not related to the numbers but is due to their activity, i.e. number, size and (dispersal of melanosomes, the quantity of melanin within the melanosomes and the rate of degradation of the pigment.